Cortical spur is found in:
1. Rickets
2. Scurvy
3. Hypervitaminosis
4. Fluorosis

Correct answer: 2. Scurvy

Explanation: Ans. Scurvy